Cafe - coronary is
1. Mild form of MI
2. Asphyxia where a bolus of food gets struck and produces obstruction of larynx
3. Commonly seen in alcoholics
4. Both 2 and 3

Correct answer: 4. Both 2 and 3

Explanation: Cafe - coronary is accidental choking due to food bolus, usually appens when person is intoxicated.